Type IIIc Southamton grading is:
1. Erythema along sutures
2. Large volume of hemoserous discharge
3. Prolonged hemoserous discharge
4. Pus at one point

Correct answer: 2. Large volume of hemoserous discharge

Explanation: Southampton Wound grading system 0: Normal healing I: Normal healing with mild bruising or erythema Ia. Some bruising Ib. Consideration bruising Ic. Mild erythema II: Erythema plus other signs of inflammation IIa. At one point IIb. Around sutures IIc: Along wound IId. Around wound III. Clear or hemoserous discharge IIIa: At one point only (<2cm) IIIb: Along wound (>2cm) IIIc: Large volume IIId: Prolonged (>3 days) IV: Pus IVa: At one point only (<2 cm) IVb: Along wound (>2 cm)